Features of tumor lysis syndrome are:
1. Hypocalcemia
2. Hypophosphatemia
3. Alkalosis
4. Hypokalemia

Correct answer: 1. Hypocalcemia

Explanation: Answer is A (Hypocalcemia): Tumor Lysis syndrome is associated with Hypocalcemia. Tumor Lysis Syndrome is also associated with Hyperphosphatemia, Hyperkalemia and Acidosis.